Which of the following exposure carries the maximum risk of transmission of HIV?
1. Blood transfusion
2. Sexual intercourse
3. Needle prick
4. Transplacental

Correct answer: 1. Blood transfusion

Explanation: HIV:

Maximum risk of transmission: Blood transfusion.
Most common route of transmission: Sexual.